Most common cause of non-alcoholic fatty liver disease?
1. Reye syndrome
2. Syndrome-X
3. Cardiac syndrome-X
4. Pregnancy

Correct answer: 2. Syndrome-X

Explanation: NAFLD Most common chronic liver disease in many parts of the world Most commonly associated with metabolic syndrome (syndrome X). Other factors Drugs (amiodarone, tamoxifen,methotrexate) Alcohol Metabolic abnormalities (glycogen storage diseases, homocystinuria) Nutritional status (Obesity ,severe malnutrition, TPN) Celiac sprue and Wilson disease Reye's syndrome Acute fatty liver of pregnancy Biopsy : Macrovesicular steatosis without fibrosis